Test used for cholesterol is
1. Salkowski test
2. Schilling test
3. Zellwenger’s test
4. Brodie’s test

Correct answer: 1. Salkowski test